Meconium ileus occurs in
1. Cystic fibrosis
2. Hypothyroidism
3. Ulcerative colitis
4. Crohn's disease

Correct answer: 1. Cystic fibrosis

Explanation: (A) Cystic fibrosis # CYSTIC FIBROSIS: CF is an autosomal resessive disorder with mutation in gene for the protein cystic fibrosis transmembrane conductance regulator (CFTR). This protein is required to regulate the components of sweat, digestive fluids, and mucus.> Symptoms include: Intestinal obstruction may be an initial manifestation in the neonatal period (meconium ileus). This may be due to the presence of abnormal protein and mucoprotein secreted by the pancreatic enzymes. Later these children tend to retain the food residue in the ileum, caecum and colon and these may form firm masses. Impaction of the faeces causes intestinal obstruction. lleocaecal intussusception may occur in less than 1 percent of the patients. Two cardinal symptoms of the disease are chronic diarrhea with massive steatorrhea and recurrent respiratory tract infections Failure to thrive is also a prominent feature. Rectal prolapse occurs frequently. Biliary cirrhosis of liver is also often observed.> Crohn's disease: The disease is most often seen in teenagers but it has been also reported during infancy. Crampy abdominal pain and dysphagia are the usual early symptoms. Pain may be paraumbilical or may be localized to the right lower quadrant of the abdomen. Chronic diarrhea is the presenting symptom in nearly one-third of cases. Anemia, weight loss, fever are complained of in most cases. Extra-intestinal symptoms of arthritis, uveitis, stomatitis and erythema nodosum may be seen in some cases.> Ulcerative colitis: There is history of diarrhea with passage of bloody stools, abdominal cramps, tenesmus, fever and anorexia. The onset may either be insidious or explosive with high fever, prostration and continuous bloody diarrhea. There may be extra-intestinal manifestation of arthralgia, liver disease or pyoderma.